Thromboembolism is due to which component of OCP
1. Progesterone
2. Estrogen
3. Iron
4. FSH

Correct answer: 2. Estrogen

Explanation: Ans. is 'b' i.e., Estrogen o Estrogen is responsible for venous thromboembolism, i.e. leg vein and pulmonary thrombosis. o Both estrogen and progesterone are responsible for arterial phenomena, i.e. coronary, and cerebral thrombosis ---> MI and stroke